The Sphenopalatine foramen is formed by all of the following structures, EXCEPT?
1. Vomer
2. Palatine bone
3. Sphenoid bone
4. Sphenopalatine notch

Correct answer: 1. Vomer

Explanation: Sphenopalatine foramen is formed by the junction of the sphenopalatine incisure of the palatine bone with the sphenoid bone, located immediately posterior to the middle turbinate. This is the principal foramen through which branches of the sphenopalatine artery and maxillary nerve pass from the pterygopalatine fossa into the nasal cavity.